Listeria resists phagocytosis in phagosomes (phagolysosomes) due to:
1. b-hemolysin
2. Caspases
3. Cell membrane adhesion molecules
4. Opacity associated protein (OAP)

Correct answer: 1. b-hemolysin

Explanation: Ans. is. 'a' i. e., b-hemolysin